A 32 year old female patient underwent extraction of an upper first molar on right side and 0.3 mm of perforation was created into the sinus wall.
What procedure would you like to carry out?
1. Caldwell luc operation
2. Suture
3. Give an antibiotic dressing and allow for secondary healing
4. No treatment required

Correct answer: 4. No treatment required